Kennedy p h enomeno n is seen in -
1. Road traffic accident
2. Gunshotinjury
3. Bums
4. Contusion

Correct answer: 2. Gunshotinjury

Explanation: Ans. is 'b' i.e., Gunshot injury o Kennedy phenomenon- surgical alteration or suturing of gunshot wound creates problem. The evaluation of the gunshot wound, whether it was an entrance or an exit wound becomes difficult.